A child fights with other childrens frequently. He has disciplinary problem in school and steals things. Most likely diagnosis is:
1. Autism
2. Attention deficit hyperkinetic disorder
3. Conduct disorder
4. Obsessive compulsive disorder

Correct answer: 3. Conduct disorder

Explanation: Ans: C i.e. Conduct disorderChild psychiatric conditions and presentationTriad of symptoms of autism includes abnormal reciprocal social interaction; communication and language impairment; and a restricted, stereotyped and repetitive repertoire of interests and activitiesClinical features of ADHD includes inattention, hyperactivity and impulsivenessConduct disorder is characterized by aggression/cruelty to people and/or animals, theft, theft, fire setting, severe provocative or disobedient disorder etc.Features of OCD include obsessions (intrusive, repetitive and distressing thoughts), compulsions (repetitive, stereotyped, unnecessary behaviours)